TRUE statement about thyroid gland is-
1. Ensheathed by pretracheal layer of deep cervical fascia
2. Isthmus lies at level of first and second tracheal cartilage
3. Superior thyroid artery is related to recurrent laryngeal nerve
4. Thyroidea ima artery mostly arises from subclavian artery

Correct answer: 1. Ensheathed by pretracheal layer of deep cervical fascia

Explanation: The pretracheal fascia encloses & suspends the thyroid gland & also form its capsule. The posterior layer of thyroid capsule is thick & form a suspensory ligament of thyroid gland known as ligament of berry. The isthmus of thyroid gland lies against second to fourth tracheal rings. The External Laryngeal Nerve & Superior Thyroid Artery are close to each other higher up, but diverge slightly near the thyroid gland. The thyroid is sometimes supplied by lowest thyroid artery (thyroidea ima) arising from brachiocephalic trunk or directly from arch of aorta in 3% individuals.